Folie-a-deux means
1. Delusion of persecution
2. Sharing of delusion
3. Delusion of double
4. None

Correct answer: 2. Sharing of delusion

Explanation: This is an uncommon delusional disorder characterised by a sharing of delusions between usually two ( folie-a-deux) or occasionally more persons ( folie-a-trios, folie-a-quatre, Folie-a-Famille), who usually have a closely knit emotional bond. Only one person usually has authentic delusions due to an underlying psychiatric disorder, most often schizophrenia or delusional disorder. Ref: A Short Textbook of Psychiatry, Niraj Ahuja, 7th Edition, pg. no. 85